Preferred imaging modality for choanal atresia is-
1. X ray
2. CT SCAN
3. MRI
4. PET SCAN

Correct answer: 2. CT SCAN

Explanation: Ans. is 'b' i.e., CT SCAN CT SCAN in choanal atresiao CT SCAN in coronal and saggital projections provides a thorough evaluation of choanal atresia and adjescent structures.o The axial views supply fundamental information including site of obstruction, composition of atretic plate and unilateral or bilateral involvement,o Thus CT SCAN is the preferred imaging modality.